Another name for glucose
1. Dextrin
2. Dextrose
3. Sucrose
4. Saccharin

Correct answer: 2. Dextrose

Explanation: Glucose is the predominant sugar in the human body. It is the major energy source. It is present in blood. -glucose is dextro- rotatory. In clinical practice , it is often called as dextrose.Ref: DM Vasudevan, 7th edition, page no: 71